Which one of the following is/are used as operational indicators in antileprosy activity -
1. Incidence
2. Incidence and prevalence
3. Relapse rate and case detection ratio
4. Incidence case detection ratio

Correct answer: 3. Relapse rate and case detection ratio